True about incontinenta pigmenti include the following except –
1. X-linked dominant
2. Primary skin abnormality
3. Avascularity of peripheral retina
4. Ocular involvement is seen in almost 100% cases and is typically unilateral

Correct answer: 4. Ocular involvement is seen in almost 100% cases and is typically unilateral

Explanation: Ocular involvement occurs in 20-35% of cases. Involvement is assynzetrical. The two pathognomic changes are -


Retinal pigmentary changes with mottled diffuse hypopigmentation.
Abnormal peripheral retinal vessels with areas of non perfusion (a vascularity).